The minimum recommended concentration of free chlorine in drinking water at the end of one hour (mg/L) is -
1. 0.1
2. 0.5
3. 1
4. 1.5

Correct answer: 2. 0.5

Explanation: The minimum recommended amount of residual chlorine is 0.5 mg/L. Park's Textbook of Preventive and Social Medicine, 25th edition, Page No. 774